The 5a reductase inhibitor that has been found to be effective both in benign prostatic hypertrophy and male pattern baldness is:
1. Flutamide
2. Finasteride
3. Prazosin
4. Minoxidil

Correct answer: 2. Finasteride

Explanation: Finasteride and dutasteride are 5 alpha reductase inhibitors. Flutamide is androgen receptor antagonist. Prazosin is alpha blocker. Minoxidil is potassium channel opener.